An example of preadjusted appliance is
1. Frankel appliance
2. Begg's light wire appliance
3. Angles edge wire appliance
4. Andrew's straight wire appliance

Correct answer: 4. Andrew's straight wire appliance